Ibuprofen acts on :
1. Lipoxygenase pathway
2. Cyclooxygenase pathway
3. Kinin system
4. Serotonin system

Correct answer: 2. Cyclooxygenase pathway